The most important mechanism by which gram negative bacilli acquire chloramphenicol resistance is :
1. Decreased permeability into the bacterial cell
2. Acquisition of a plasmid encoded for chloramphenicol  acetyl transferase
3. Lowered affinity of the bacterial ribosome for chloramphenicol
4. Switching over from ribosomal to mitochondrial protein synthesis

Correct answer: 2. Acquisition of a plasmid encoded for chloramphenicol  acetyl transferase